True statement regarding Bupivacaine is :
1. Used intravenously along with lignocaine
2. More cardiotoxic than lignocaine
3. Contraindicated in pregnancy
4. All of the above

Correct answer: 2. More cardiotoxic than lignocaine